Infective stage of hook worm is:
1. Trophozoite form
2. Filiform larva
3. Cyst
4. None

Correct answer: 2. Filiform larva

Explanation: Ans. b. Filiform larva